LDH isoenzymes-5 is raised in which organ injury?
1. Lungs
2. Brain
3. Heart
4. Liver and muscles

Correct answer: 4. Liver and muscles

Explanation: Ans. (d) Liver and musclesRef Biochemistry M N chatarjee 2/e, p 205, A manual of laboratory and diagnostic tests, p 429